Familial amyloidotic polyneuropathy is due to amyloidosis of nerves caused by deposition of -
1. Amyloid associated protein
2. Mutant Calcitonin
3. Mutant Transthyretin
4. Normal transthyretin

Correct answer: 3. Mutant Transthyretin